The lateral border of the right kidney is related to which of the following structures ?
1. right lobe of the liver and to the hepatic flexure of the colon
2. right lobe of the liver and to the descending colon
3. the spleen and to the descending colon
4. the spleen and to the hepatic flexure of the colon

Correct answer: 1. right lobe of the liver and to the hepatic flexure of the colon

Explanation: The lateral border of the right kidney is related to the right lobe of the liver and to the hepatic flexure of the colon. Ref : B D Chaurasia's Human Anatomy , seventh edition , volume 2 , pg. no., 343. ( fig. 24.3 ).